Maximum Conducting velocity is of?
1. Purkinje fibers
2. Bundle of His
3. SA Node
4. AV bundle

Correct answer: 1. Purkinje fibers

Explanation: Ans. a (Purkinje fibers). (Ref. Ganong, Physiology, 21st ed., Table 28-1)CONDUCTION SPEEDS IN CARDIAC TISSUETissueConduction Rate (m/s)SA node0.05Atrial pathways1AV node0.05Bundle of His1Purkinje system4Ventricular muscles1